Best investigation to diagnose hemorrhoids is
1. Proctoscopy
2. DRE
3. Barium enema
4. USG

Correct answer: 1. Proctoscopy

Explanation: Proctoscopy is IOC for hemorrhoids.